Carriers for Herpes simplex virus is:
1. Man
2. Monkey
3. Both
4. None

Correct answer: 1. Man

Explanation: Ans. A: Man Humans are the only natural hosts and the sources of infection are saliva, skin lesions or respiratory secretions. Asymptomatic carriers form the more important source of infection, especially in genital infection.